Which is not seen in polycythemia vera -
1. Increased vitamin B12 binding capacity
2. Increase erythropoietin level
3. Increase RBC count
4. Ocular congestion

Correct answer: 2. Increase erythropoietin level